A posteriorly perforating ulcer in the pyloric antrum of the stomach is likely to produce initial localized peritonitis or abscess formation in the:
1. Greater sac
2. Left subhepatic and hepatorenal spaces (pouch of Morrison)
3. Omental bursa
4. Right subphrenic space

Correct answer: 3. Omental bursa

Explanation: C i.e. Omental Bursa